Best fetal monitoring/screening is by :
1. Bishop score
2. Manning score
3. Non-stress test
4. Cardif's count 10 formula

Correct answer: 2. Manning score

Explanation: Manning score